The typhus group of fevers are transmitted by the following -
1. Mites, Human body louse and Sand fly
2. Mites, Sand fly and Fleas
3. Mites, Human body louse and Fleas
4. Human body louse, Sand fly and Fleas

Correct answer: 3. Mites, Human body louse and Fleas

Explanation: Typhus group fevers are : Epidemic typhus caused by R.prowazeki, the vector is the louse. Murine typhus caused by R.typhi, the vector is rat flea. Scrub typhus caused by R.tsutsugamushi, the vector is mite. Parks textbook of Preventive and Social Medicine, 25th edition, Pg 840